A 15 year old male with type 2 diabetic mellitus is found to have 24 hour urinary albumin ok 250 milligrams which of the following drugs may be used to retard the progression of renal disease
1. Hydrochlorthiazide
2. Enalapril
3. Amiloride
4. Aspirin

Correct answer: 2. Enalapril

Explanation: Refer katzung 10e p281, KDT 6/e p 481 ACE inhibitors can retard the progression of diabetic complications like neuropathy, nephropathy and retinopathy